In a patient with multisystem trauma, thepresence of hypotension along with elevated central venouspressure is suggestive of -
1. Upper airway obstruction
2. Major abdominal bleed
3. Cardio-pulmonary problem
4. Spinal cord injury

Correct answer: 3. Cardio-pulmonary problem